A 3 year old girl has developed painful elbow after being jerked by the forearm. The next thing to be done is :
1. Cuff & collar sling immobilization.
2. Raduction setting and AEPOP application
3. X-Ray and elevation of limb in posterior slab
4. Fully supinate the forearm

Correct answer: 4. Fully supinate the forearm

Explanation: D i.e. Fully supinate the forearm.